A non-ventilated preterm baby in incubator is under observation. Which is the best way to monitor the baby's breathing and detect apnea?
1. Infrared throracic movement study
2. Capnography
3. Nasal digital temperature monitoring
4. Impedance technique

Correct answer: 4. Impedance technique

Explanation: d. Impedance technique(Ref: AAP guidelines 2015)Respiratory monitoring is based on impedance technique, that measures changes in electrical resistance during breathing;The electrode is fixed on the chest wall to pick up signals which are displayed as respiratory rate.